Carcinoma breast with high incidence of involving opposite breast is -
1. Lobular carcinoma
2. Medullary carcinoma
3. Scirrhous adenocarcinoma
4. Atrophic scirrhous carcinoma

Correct answer: 1. Lobular carcinoma